In the halstead Reitan battery which of the following is not a component for assessment?
1. Rhythm
2. Constructional praxis
3. Finger oscillation
4. Tactual performance

Correct answer: 2. Constructional praxis

Explanation: Ans. B. Constructional praxisHalstead Reitan Battery Test:* Trail-Making Test, parts A and B (measures time to connect a sequence of numbers (Trail-Making, Part A) or alternating numbers and letters (Trail-Making, Part B).* Halstead Category Test (including seven subtests which form several factors: A Counting factor (subtests I and II), a Spatial Positional Reasoning factor (subtests III, IV, and VII), a Proportional Reasoning factor (subtests V, VI, and VII), and an Incidental Memory factor (subtest VII)- Tactual Performance Test- Seashore Rhythm Test- Speech Sounds Perception Test- Finger Oscillation Test- Sensory Perceptual Examination- Lateral Dominance Examination